Skin pigmentation occurs with which of the following drugs ? a) Clofazimine b) Minocycline c) Sulfonamides d) Gold e) Rifampicin
1. bde
2. acd
3. ace
4. abd

Correct answer: 4. abd